Karyotyping is useful in diagnosis of:
1. Autosomal Recessive disorders
2. X Linked Recessive disorders
3. Biochemical abnormalities
4. Chromosomal Abnormalities

Correct answer: 4. Chromosomal Abnormalities

Explanation: Chromosomal abnormalities can be assessed with karyotyping. Ref: Edwin H. McConkey, (1993), Chapter 9, "Genetic Screening", In the book, "Human Genetics: The Molecular Revolution", London, Page 187; Wintrobe's Cliical Hematology, 12th Edition, Page 54